Which of the following is used to measure pain intensity
1. Visual analog scale
2. Visual anaesthesia score
3. Verifiable assessment of soreness
4. Visual assessment of soreness

Correct answer: 1. Visual analog scale